Which of the following has sporicidal activity-
1. 2% Glutaraldehyde
2. 2% Cresol
3. Chlorhexidine
4. Boprophyl alcohol

Correct answer: 1. 2% Glutaraldehyde

Explanation: Ans. is 'a' i.e., 2% Glutaraldehyde Sporicidal agents* Bacterial spores constitute some of the most resistant forms of life. By nature bacterial spores are resistant to extreme physical, chemical and thermal conditions and are second only to prions in their resistance to disinfection. They are resistant to most of the disinfectants. Only a few agents are effective against them.* Sporicidal agents are -1) Glutaraldehyde2) Formaldehyde3) Halogensi) Iodine compounds - Iodine, Iodophorsii) Chlorine compounds - Sodium hypochlorite, chlorine tablets4) Ethylene oxide5) Peroxygens - hydrogen peroxide, peracetic acid.6) Beta propiolactone7) Ozone